A child presents with barotrauma pain without middle ear inflammation. Management is:
1. Antibiotics
2. Myringotomy
3. Supportive
4. Grommet

Correct answer: 3. Supportive

Explanation: Otitic Barotrauma (Aero otitis media) in mild cases does not require any specific treatment apart from decongestants.